Burking consist of :
1. Smothering and Traumatic asphyxia
2. Choking and drowning
3. Gagging only
4. Traumatic asphyxia only

Correct answer: 1. Smothering and Traumatic asphyxia

Explanation: A i.e. Smothering & traumatic asphyxia